In ductus venous, the fetal blood from the placenta reaches to the liver through
1. Portal vein
2. Right umbilical vein
3. Inferior vena cava
4. Left umbilical vein

Correct answer: 4. Left umbilical vein

Explanation: when there is an increase in placental circulation, to facilitate the rapid transport of blood through the liver ,a large passage is formed between left umbilical vein and right hepato cardiac channel.This passage is called ductus venosus REFERENCE: TEXTBOOK OF CLINICAL EMBRYOLOGY... VISHRAM SINGH SECOND EDITION....PAGE NO:241